When vagus is cut. the undesirable effect is-
1. Decreased gastric acid
2. Increased constipation
3. Delayed gastric emptying
4. Recurrent ulcer

Correct answer: 3. Delayed gastric emptying

Explanation: Ans. is 'c' i.e., Delayed gastric emptying After vagotomyo Acid secretion in decreaseso Gastric emptying for solids is delayed and hastened for liquids (due to loss of receptive relaxation of proximal stomach).o Diarrhoea & increase in frequency of stool is seen.